Fisch's physiological bottleneck (narrowest part) is present in which part of the VIIth nerve
1. Labyrinthine segment
2. Geniculate ganglion
3. Horizontal segment
4. Mastoid segment

Correct answer: 1. Labyrinthine segment

Explanation: The labyrinthine segment is the narrowest part of the facial nerve and is susceptible to compression by means of oedema. This is the only segment of the facial nerve that lacks anastomosing arterial cascades, making the area vulnerable to embolic phenomena, low-flow states, and vascular compression. Ref : Diseases of ENT by Dhingra 6th edition Pgno : 90